Which is not seen in cystic fibrosis?
1. Limb anomalies
2. Meconium Ileus
3. Female infertility
4. Lung infection

Correct answer: 1. Limb anomalies

Explanation: Limb anomalies- not seen in cystic fibrosis Cystic fibrosis: Lung infection Female infertility Meconium Ileus Steatorrhea